Duodenal ulcer is most commonly caused by:
1. GERD
2. NSAID therapy
3. Stress ulcer
4. H. pylori

Correct answer: 4. H. pylori

Explanation: Ans. D i.e. H. pylori Peptic ulcer/Peptic ulcer disease It is defined as mucosal erosions equal to or greater than 0.5 cm. As many as 70-90% of such ulcers are associated with Helicobacter pylori, a helical-shaped bacterium that lives in the acidic environment of the stomach. Four times as many peptic ulcers arise in the duodenum--the first part of the small intestine, just after the stomach--as in the stomach itself. About 4% of gastric ulcers are caused by a malignant tumor, so multiple biopsies are needed to exclude cancer. Duodenal ulcers are generally benign.